Most common site for thyroglossal cyst is ?
1. Suprahyoid
2. Subhyoid
3. Beneath the foramen ceacum
4. Floor of mouth

Correct answer: 2. Subhyoid

Explanation: Ans. is 'b' i.e., Subhyoid